The following study was conducted to check anticariogenic effect of fluoride EXCEPT
1. Dutch study
2. Newburg-Kingston study
3. Evauston-Oak study
4. Shoe-Leather survey

Correct answer: 4. Shoe-Leather survey